Both pale and hemorrhagic infarcts are found in:
1. Liver
2. Brain
3. Heart
4. Kidney

Correct answer: 2. Brain